One of the following is apoptosis inhibitor gene
1. p53
2. BCL -2
3. Rb
4. C -myc

Correct answer: 2. BCL -2

Explanation: Anti-apoptotic genes are BCL -2, MCL -1, BCL -XL"The pro-apoptotic proteins BAX and BAK are required for apoptosis and directly promote mitochondrial permeabilization. Their action is inhibited by the anti-apoptotic members of this family, which are exemplified by BCL2, BCL-XL, and MCL1. A third set of proteins (so-called BH3-only proteins), including BAD, BID, and PUMA, sense death-inducing stimuli and promote apoptosis by neutralizing the actions of anti-apoptotic proteins like BCL2 and MCL1"Robbins pathology 9e pg: 302